A patient with amenorrhea had bleeding after giving a trial of progesterone. This implies:a) Sufficient estrogenb) Sufficient progesteronec) Normal ovarian functiond) Intact endometriume) Intact pituitary axis
1. ade
2. bde
3. abd
4. ad

Correct answer: 1. ade